Advantage of shoulder finish line is
1. It is more conservative
2. It is easy to prepare
3. Provides bulk of material
4. All of the above

Correct answer: 3. Provides bulk of material